Which of the following is the shortest acting local anaesthetic ?
1. Tetracaine
2. Bupivacaine
3. Chlorprocaine
4. Prilocaine

Correct answer: 3. Chlorprocaine

Explanation: Procaine and chloroprocaine are the shortest acting local anaesthetics. Prilocaine is intermediate acting, bupivacaine and tetrcaine are long acting local anaesthetics. Reference Essentials of Medical Pharmacology by KD Tripathi, 5e page 320.